True statement regarding delirium includes
1. Insidious onset
2. Clear consciousness
3. Irreversible
4. Decreased attention

Correct answer: 4. Decreased attention

Explanation: (D) Decreased attention # DELIRIUM:> Delirium is defined as a transient, usually reversible, cause of cerebral dysfunction and manifests clinically with a wide range of neuropsychiatric abnormalities.> Clinical hallmarks are decreased attention span and a waxing and waning type of confusion.> Delirium or acute confusional state is a transient global disorder of cognition.